Exanthems are caused by all except –
1. Malaria
2. Typhoid
3. Measles
4. Rubella

Correct answer: 1. Malaria

Explanation: Typhoid, measles and rubella cause morbillifonn exanthems.